The selective MAO-B inhibitor out of the following is:
1. Selegiline
2. Clorgyline
3. Moclebemide
4. Tranylcypromine

Correct answer: 1. Selegiline

Explanation: -Selegiline and rasagiline Also called as Deprenyl Irreversible and selective MAO-B inhibitors Inhibits MAO-A at higher doses only It has neuroprotective and antiapoptotic effects Use: Oral dose is used in on- off phenomenon in Parkinsonism Transdermal patch is used for depression Incidence of cheese reaction is minimal Causes insomnia so used in morning and afternoon -Moclebemide is selective reversible MAO-A inhibitor for depression. Whereas clorgyline is irreversible MAO-A inhibitor -Tranylcypromine is a non-selective MAO inhibitor.